What is the purpose of Nitrogen gas filled in anaesthetic cartridge:
1. To maintain the pressure in the cartridge.
2. To prevent deterioration of vasoconstrictor.
3. To prevent deterioration of LA.
4. All of the above.

Correct answer: 2. To prevent deterioration of vasoconstrictor.

Explanation: The purpose of nitrogen gas-filled bubbles in the anaesthetic cartridge is to prevent deterioration of the vasoconstrictor.